Pearson's formula is used for -
1. Cephalic index
2. Stature
3. Race
4. Age

Correct answer: 2. Stature

Explanation: STATURE * The most common method used- linear regression. * With this technique, the known statures of adults in a given population are plotted against the lengths of skeletal elements and the best lines are fitted to the scatter plots * Various regression formulae for calculating height have been compiled, based on a number of different populations and sex. * Karl pearson's formula: a constant factor is to be added to the product of the length of the bone with the multiplying factor * femur- (Males) 81.306 +1.880 x length of femur, (072.884+1.945 x length * Tibia -- (M)78.664 + 2.376 x length, (F) 74.774 +2.352 X length * Humerus -- 70.641+2.891 x length, (F)71.745+ 2.754 x length Ref: P.C.Ignsitus Textbook of Forensic Medicine and Toxicology,3rd edition,Page 96.